In a suspected case of death due to poisoning where cadaveric rigidity is lasting longer than usual, it may be a case of poisoning due to -
1. Lead
2. Arsenic
3. Mercury
4. Copper

Correct answer: 2. Arsenic

Explanation: Cadaveric rigidity is delayed and therefore appears for long in arsenic poisoning.